The drug of choice for treatment of thyrotoxicosis during pregnancy is
1. Iodine therapy
2. Carbimazole
3. Propylthiouracil
4. Methimazole

Correct answer: 3. Propylthiouracil

Explanation: Refer KDT 6 /e p 250 Propylthiouracil does not cross placenta and us therefore The drug of choice in first trimester pregnancy